The best way of diagnosing Trisomy-21 during second trimester of pregnancy is :
1. Triple marker estimation
2. Nuchal skin fold thickness measurement
3. Chorionic villus sampling
4. Amniocentesis

Correct answer: 4. Amniocentesis

Explanation: Ans is d i.e. Amniocentesis